All of the following are autoimmune disease except?
1. SLE
2. Grave's disease
3. Myasthenia gravis
4. Sickle cell disease

Correct answer: 4. Sickle cell disease

Explanation: Robbins basic pathology 6th edition. Chapter Red cells and bleeding disorders. page no. 611.. sickle cell disease is a hereditary hemoglobinopathy, occuring due to mutation in beta globin chain. while all others are autoimmne diseases. so, answer is option 4.